Which of the following muscles is pierced by the needle while giving an inferior alveolar nerve block
1. Medial pterygoid
2. Superior constrictor
3. Temporalis
4. Buccinator

Correct answer: 4. Buccinator